Succinylcholine causes?
1. Severe hyperkalemia
2. Paraplegia
3. Liver failure
4. Renal failure

Correct answer: 1. Severe hyperkalemia

Explanation: Ans. (a) Severe hyperkalemiaRef: Miller 4thedCh: 9